In E. coli true is -
1. ETEC is invasive
2. EPEC acts via cAMP
3. Pilli present in uropathogenic type
4. ETEC causes HUC

Correct answer: 3. Pilli present in uropathogenic type